Normal intraabdominal pressure is ?
1. 0 - 8mmHg
2. 10 - 15mmHg
3. 15 - 20mmHg
4. 20 - 26mmHg

Correct answer: 1. 0 - 8mmHg

Explanation: Ans. is'a'i.e., 0 - 8 mmHgNormal intra-abdominal pressure is 0-6 mmHg.